Which of the following is true about autonomic nervous system?
1. The sympathetic outflow from the CNS is through both the cranial nerves and sympathetic chain
2. The parasympathetic outflow from the CNS is through the cranial nerves only
3. The superior hypo gastric Plexus is located at the anterior aspect of the aortic bifurcation and the fifth lumbar vertebrae
4. The superior hypo gastric Plexus contains sympathetic chain

Correct answer: 3. The superior hypo gastric Plexus is located at the anterior aspect of the aortic bifurcation and the fifth lumbar vertebrae

Explanation: The sympathetic preganglionic fibers leave the spinal cord with ventral roots of spinal cord between first thoracic and second lumbar segment called thoracolumbar divison. The nerve fibers leaving the CNS from the brain and sacral portion of spinal cord is III, VII, IX and X cranial nerves and second and fourth spinal nerves. Hollow viscera like stomach have dual innervation from both sympathetic and parasympathetic division: hypogastric plexu. This enables a very fine degree of control over the effect or organ .